A 47 - year - old man with chronic asthma who has been treated with steroids for many years develops a productive cough, weight loss, and night sweats. Imaging studies reveal the presence of abscesses in the lungs and brain. Cultures show gram - positive filaments that are weakly acid - fast Which of the following organ- isms is responsible for this patient's condition?
1. Actinomyces israelii
2. Bacillus anthracis
3. Mycobacterium tuberculosis
4. Nocardia asteriods

Correct answer: 4. Nocardia asteriods

Explanation: (D) Nocardia asteriods # Nocardia asteroides a filamentous gram - positive organism weakly acid - fast infection with this organism typically seen in immuno- compromised individuals, commonly misdiagnosed as tuberculosis because of its acid - fast nature and its similar disease process.> Actinomyces israelii: Also filamentous organism; Not weakly acid-fast; It is part of the normal flora of the mouth and gastrointestinal tract; Classically associated with "sulfur granules" seen on microscopy.